Sign of puberty in girl?
1. Puberche
2. Thelarche
3. Menarche
4. Growth spurt

Correct answer: 2. Thelarche

Explanation: Ans. is 'b' i.e., Thelarche In girls, the first visible sign of puberty is the appearance of breast buds (Thelarche), between 8-12 years of age. In boys the first visible sign of puberty is testicular enlargement, beginning as early as 91/2 yr.